Most common infection in patients with prosthetic valves is-
1. Pneumococcus
2. Pseudomonas
3. Staphylococcus
4. Enterococci

Correct answer: 3. Staphylococcus

Explanation: Most common infection in patients with prosthetic valves is infective endocarditis by staphylococcus Ref Davidson 23rd edition pg 450